Scaphoid fracture which area has maximum chances of AVN/Non-union/Malunion:-
1. Proximal 1/3
2. Middle 1/3
3. Distal 1/3
4. Scaphoid Tubercle fractrue

Correct answer: 1. Proximal 1/3

Explanation: * Scaphoid has retrograded blood supply (distal to proximal) hence the distal pole is highly vascularized.* Due to fracture at the waist of scaphoid, blood supply to proximal pole is compromised. Hence proximal 1/3rd has the maximum chance to undergo AVN/non-union or malunion.